A 35 year old lady complains dysphagia, Raynaud's phenomenon, sclerodactyly. Investigations show antinuclear antibody. The likely diagnosis is -
1. Systemic lupus erythematosis
2. Systemic sclerosis
3. Mixed connective tissue disorder
4. Rheumatoid arthritis

Correct answer: 2. Systemic sclerosis